Child knows his/her sex at the age of:
1. 1 year
2. 3 years
3. 5 years
4. 7 years

Correct answer: 2. 3 years

Explanation: A child knows her full name and gender by the age of 3 years.